APGAR scoring includes all except
1. Heart rate
2. Respiratory rate
3. Muscle tone
4. Color of body

Correct answer: 2. Respiratory rate

Explanation: Ans. is 'b' i.e., Respiratory Rate APGAR Scoring* APGAR Score is a quantitative method for assessing infants respiratory, circulatory and neurological status : APGAR Score 012* Respiratory effortNoneSlow irregularGood, crying* Heart rate (pulse)Absent< 100> 100* Color of the body (Appearance)Blue or paleBody pink extremities bluePink* Muscle tone (Activity)FlaccidSome flexionActively moving extremity* Reflex stimulation (Grimace) or putting catheter in nose.No responseGrimaceCries, coughs or sneezesScoring for APGAR Score* Total score = 10* No depression = 7-10* Mild depression = 4-6* Severe depression = 0-3